Micronodular cirrhosis is commonly seen in all except,
1. Chronic hepatitis B
2. Alcoholic liver disease
3. Hemochromatosis
4. Chronic extrahepatic biliary obstruction

Correct answer: 1. Chronic hepatitis B

Explanation: Chronic hepatitis B [Ref Robbin 7Th/e p. 8991 Cirrhosis of the liver is a pathological entity which clinically represents the end stage of chronic liver disease. It is characterized by three features. i) Bridging fibrous septa& in the form of delicate bands or broad scars linking portal tracts with one another and portal tracts with terminal hepatic veins. ii) Parenchymal nodulesQ containing proliferating hepatocytes encircled by fibrosis with diameters varying from very small to large. Cirrhosis is defined as micronodular or macronodular depending upon the size of parenchymal nodules Micronodular cirrhosisu - Parenchymal nodules < 3 mm in size Macronodular cirrhosisQ - Parenchymal nodules > 3 mm in size Viral hepatitis commonly causes macronodular cirrhosisdeg. In viral hepatitis the cirrhosis is characterized by irregularly large sized nodules separated by variable but mostly broad scars. This pattern of cirrhosis is historically called posnecrotic cirrhosise. Postnecrotic cirrhosis is not only applied to viral hepatitis but to all forms of cirrhosis in which the liver shows large irregular sized ntacronodules with broad scars regardless of the etiology. Also remember these Alcholic cirrhosis is typically micronodularQ, but can become macronodulare in later stages. Viral cirrhosis is typically macronodularQ. Cirrhosis associated with virus is called postnecrotic cirrhosis. Postnecrotic cirrhosis is also called posthepatitis cirrhosis macronodular cirrhosis and coarsely nodular cirrhosis. Cirrhosis in hemochromatosis is typically micronodularQ (can be macronodular sometimes). Wilson's disease causes macronodularQ cirrhosis. Biliary cirrhosis whether primary or secondary is micronodularQ.